Flea bitten appearance of the kidney is seen in -
1. Malignant hypertension
2. Benign hypertension
3. Chronic pyelonephritis
4. Diabetes mellitus

Correct answer: 1. Malignant hypertension

Explanation: Ans. is 'a' i.e., Malignant hypertension Causes of flea - bitten kidney -o Malignant hypertensiono RPGNo TTPo Acute poststreptococcal GNo HUSo PANo Infective endocarditis/subacuteo Wegener's granulomatosisbacterial endocarditiso Henoch - scholoin purpuraCauses of Granular contracted kidney -o Chronic glomerulonephritis (symmetric)o Chronic pyelonephritis (asymmetric)o Benign Nephrosclerosis (Symmetric)Sometimes, Diabetes too can cause granular contracted kidney.